Clue cells are seen in:
1. Gardenella vaginalis
2. Candida
3. Trichomoniasis
4. Gonorrhoea

Correct answer: 1. Gardenella vaginalis

Explanation: Ans. A i.e. Gardenella vaginalis